In catatonic schizophrenia which is not found :
1. Waxy flexibility
2. Automatic Obedience
3. Somatic passivity
4. Gegenhalten

Correct answer: 3. Somatic passivity

Explanation: Ans. C.MOTOR/CATATONIC SYMPTOMS:"Catatonic" term coined by "Karl Kahlbaum".Symptoms include, Stupor - Extreme hypoactivity or immobility.Excitement - Extreme hyperactivity (non-goal oriented).Posturing/catalepsy - Spontaneous maintenance of posture for long periods of time.Waxy flexibility- On passive movement on patient, plastic resistance felt resembling bending of soft wax.Automatic obedience - Excessive cooperation with examiner's commands despite unpleasant consequences.Echolalia - Mimicking of examiner's speech.Echopraxia- Mimicking of examiner's movements.Grimacing -Maintenance of odd facial expressions.Stereotypy - Spontaneous repetition of odd, purposeless movements (Strange movements of fingers repeatedly).Gegenhalten - Resistance to passive movement (Opposed to strength applied).Mannerisms - Spontaneous repetition of odd, purposeful movements.Perseveration - Senselessly repeated induced movement (Only on instruction) - Sign of brain damage (Organic brain disorders).Ambitendency - Inability to decide desired motor movement.